The indicator of active multiplication of Hepatitis B virus is:
1. HBsAg
2. HBcAg
3. HBeAg
4. Anti HBs

Correct answer: 3. HBeAg

Explanation: HBsAgAnti HBsAnti HBcHBeAgAnti-HbeInterpretation+-IgM+-Acute hepatitis B, high infectivity+-IgG+-Chronic hepatitis B, high infectivity+-IgG-+1. Late acute or chronic hepatitis B, low infectivity2. HBeAg-negative ("precore-mutant") hepatitis B(chronic or, rarely, acute++++/-+/-1. HBsAg of one subtype and heterotypic anti-HBs(common)2. Process of seroconversion from HBsAg to anti-HBs (rare)--IgM+/-+/-1. Acute hepatitis B2. Anti-HBc "window"Diagnostic approach in Patients with HepatitisHBs AgIgm Anti -HAVIgm Anti HBCAnti HCVDiagnostic Interpretation+-+-Acute hepatitis B +---Chronic Hepatitis B++--Acute Hepatitis A superimposed on Chronic Hepatitis b+++-Acute Hepatitis A and B-+--Acute hepatitis A-++-Acute Hepatitis A and B--+-Acute Hepatitis B---+Acute hepatitis CRef: Harrison's 18/e p2550 17/e p1933